Which of the following does NOT scavenge free radicals in the lens?
1. Vit A
2. Vit C
3. Vit E
4. Catalase

Correct answer: 1. Vit A

Explanation: Vitamin A Repeat from - May 08 & May 07 Antioxidant mechanisms within lens - Superoxide dismutase - Glutathione peroxidase - Catalase - Vitamin C (Ascorbic acid) - Vitamin E